Differential diagnosis for pancytopenia with cellular bone marrow include the following except ?
1. Megaloblastic anemia
2. Myelodysplasia
3. Paroxysmal Nocturnal Hemoglobinuria
4. Congenital dyserythropoietic anemia

Correct answer: 4. Congenital dyserythropoietic anemia

Explanation: Ans. is 'd' i.e., Congenital dyserythropoietic anemia Pancytopenia refers to as decreased counts of all the three blood cells, i.e., RBC, WBC, and platelets. o Pancytopenia may have any of the two pathogenic mechanisms. 1.Decreased production of blood cells in bone marrow (more common) as in aplastic anemia. 2.Increased peripheral destruction of blood cells as in hypersplenism Pancytopenia with Hvpocellular Bone marrow o Acquired aplastic anemia o Constitutional aplastic anemia (Fanconi's anemia, dyskeratosis congenita) Some myelodysplasia o Rare aleukemic leukemia (AML) Some acute lymphoid leukemia o Some lymphomas of bone marrow Pancytopenia with cellular bone marrow Primary bone marrow diseases o Myelodysplasia o Paroxysmal nocturnal hemoglobinuria o Myelofibrosis o Some aleukemic leukemia o Myelophthisis o Bone marrow lymphoma o Hairy cell leukemia Secondary to systemic diseases Systemic lupus erythematosus Hypersplenism B12, folate deficiency Overwhelming infection Alcohol Brucellosis Sarcoidosis Leishmaniasis